The tapeworm that can be transmitted directly from human to human is
1. Fish Tapeworm
2. Beef Tapeworm
3. Dog Tapeworm
4. Dwarf Tapeworm

Correct answer: 4. Dwarf Tapeworm

Explanation: The adult Hymenolepis nana worm is very small, at perhaps 4 cm in length. The so-called "dwarf tapeworm" is the only tapeworm that can be transmitted directly from human to human.Eggs are ingested the fecal-oral route. They then release embryos that penetrate the intestinal wall. The resulting cysts mature in the intestinal wall, then reenter the gut lumen to develop into adult worms again.Ref: Sherris microbiology; 6th edition; Page no: 893